Which of the following should be monitored if linezolid is given for more than 14 days ?
1. Liver function tests
2. Kidney function test
3. Platelet count
4. Audiometry

Correct answer: 3. Platelet count